Collagen fibrils have a transverse striation with a characteristic periodicity of
1. 64 cm
2. 64 nm
3. 640 μm
4. 640 nm

Correct answer: 2. 64 nm